Chromosomal translocation in CML is:
1. 8:14
2. 9:22
3. 15:17
4. 14:18

Correct answer: 2. 9:22

Explanation: 9:22